Activity of all local anaesthetic solutions is affected by pH of the tissue or infection except:
1. Propoxycaine
2. Benzocaine
3. Lidocaine
4. None of the above

Correct answer: 2. Benzocaine

Explanation: As benzocaine has no charge